Volume of anterior chamber is
1. 0.31 ml
2. 0.06 ml
3. 0.6 ml
4. 0.25 ml

Correct answer: 4. 0.25 ml

Explanation: Volume of anterior chamber is 0.25 ml.
Volume of posterior chamber is 0.06 ml.